Which of the following nerves has the best prognosis for repair after injury ?
1. Ulnar
2. Radial
3. Median
4. Lateral popliteal

Correct answer: 2. Radial

Explanation: Ans. is 'b' i.e., Radial nerve Recovery potential after nerve repair Excellent :- Radial, Musculocutaneous, femoral, digital nerves Moderate :- Median, Ulnar, Tibial Poor :- Common peroneal (lateral popliteal)